Arrange the following sequentially in the descending order of nerve impulse transmission velocity: A. C B. Aa C. B D. Ad
1. A-D-C-B
2. B-D-C-A
3. A-C-D-B
4. C-A-B-D

Correct answer: 2. B-D-C-A

Explanation: Erlanger Gasser's Classificaiton of sensory and motor neurons Fiber type Functions Fiber diameter (um) Conduction velocity (m/sec) Aa Proprioception, somatic motor 12-20 70-120 Ab Touch, pressure 5-12 30-70 Ag Motor to muscle spindles 3-6 15-30 Ad Pain, temperature 2-5 12-30 B Preganglionic autonomic <3 3-15 C (dorsal root) Pain, temperature 0.4-1.2 0.5-2 C (Sympathetic) Postganglionic sympathetic 0.3-1.3 0.7-2.3